Cherry red colour of blood is seen in poisoning with-
1. Nitrate
2. Cyanide
3. Lead
4. Sulphite

Correct answer: 2. Cyanide